Which complication you would expect during internal podalic version in case of transverse lie?
1. Uterine rupture
2. Cervical laceration
3. Uterine atony
4. Vaginal laceration

Correct answer: 1. Uterine rupture

Explanation: This manoeuvre is currently used only for the delivery of a second twin. It consists of the insertion of a hand into the uterine cavity to turn the fetus manually. Complications of internal podalic version in mother: Uterine rupture Hemorrhage Complications of internal podalic version in child Traumatic intracerebral hemorrhage Birth asphyxia Birth trauma Long bone fractures Dislocations Epiphyseal separations Central nervous system deficits Ref: Kish K. (2013). Chapter 19. Malpresentation & Cord Prolapse. In A.H. DeCherney, L. Nathan, N. Laufer, A.S. Roman (Eds), CURRENT Diagnosis & Treatment: Obstetrics & Gynecology, 11e.